Which structure does NOT form part of the boundary defining the trigone of the bladder?
1. Interureteric crest
2. Left Ureteric Orifice
3. Right Ureteric Orifice
4. Urachus

Correct answer: 4. Urachus

Explanation: The trigone of the bladder is bounded by the openings of the left and right ureteric orifices superolaterally, the interureteric crest between the openings of the ureters and the internal urethral orifice inferiorly. The urachus is the structure that joins the apex of the fetal bladder to the umbilicus. After birth, it becomes the median umbilical ligament.